Tear film break-up-time is the time:
1. Between the last blink and the appearance of first dry spot on the cornea
2. Taken for appearance of dry spot between two blinks
3. Taken by successive blinks to break the tear film
4. Taken for disappearance of dry spots on the cornea

Correct answer: 1. Between the last blink and the appearance of first dry spot on the cornea

Explanation: Ans. Between the last blink and the appearance of first dry spot on the cornea